Characteristic of subdural hematoma is –
1. Convex hyperdensity
2. Concavo convex hyperdense
3. Biconvex hyperdense
4. Concavo convex hypodense

Correct answer: 2. Concavo convex hyperdense